The mechanism by which pyruvate from cytosol is transported to mitochondria is?
1. Chloride antiport
2. Proton symport
3. ATP dependent antiport
4. Facilitated uniport

Correct answer: 2. Proton symport

Explanation: The transport of pyruvate into the mitochondria is the transport protein pyruvate translocase. Pyruvate translocase transports pyruvate in a symport fashion with a proton, and hence is active, consuming energy.Ref: DM Vasudevan, 7th edition